Which of the following hallucinations is pathognomonic of schizophrenia -
1. Auditory hallucinations commanding the patient
2. Auditory hallucinations giving running commentry
3. Auditory hallucinations criticizing the patient
4. Auditory hallucinations talking to patient

Correct answer: 2. Auditory hallucinations giving running commentry

Explanation: Third person hallucinations, e.g. voices heard arguing, commenting or discussing the patient or giving a running commentary on one's action; are characteristic of schizophrenia.